Which of the following is also known as the labourer's nerve?
1. Ulnar nerve
2. Median nerve
3. Anterior interosseous nerve
4. Radial nerve

Correct answer: 2. Median nerve

Explanation: The median nerve controls coarse movements of hand. It supplies muscles of thenar eminence. It is main nerve which supplies most of the long muscles of front of the forearm The ulnar nerve is trapped between bone humers and skin . it's sensation causes tingling so known as the funny bone. anterior interosseous is a branch of the median nerve REF: BD Chaurasia 7th edition Page no: 113 Figure 11.19,page no:151- Textbook of anatomy- upper limb & thorax- vishram singh